All are true about Antigen drift EXCEPT?
1. Its causes pandemic
2. Occurs due to mutation
3. Occurs frequently
4. Minor antigenic changes

Correct answer: 1. Its causes pandemic

Explanation: Ans. (a) Its causes pandemicRef Jaweyz 24th ed ch-39